Which of the following heart disease is most commonly cause of sudden death in young athletes
1. Aortic stenosis
2. Mitral regurgitation
3. Aortic regurgitation
4. HOCM

Correct answer: 4. HOCM

Explanation: Ref Harrison 19 th ed pg 1568 Biopsy is not needed to diagnose hypertrophic cardiomyopathy but can be used to exclude infiltrative and metabolic diseases. Rigorous athletic training (athlete's heart) may cause intermediate degrees of physiologic hypertrophy difficult to differentiate from mild hypertrophic cardiomyopathy. Unlike hyper- trophic cardiomyopathy, hypertrophy in the athlete's heart regresses with cessation of training, and is accompanied by supernormal exer- cise capacity (VO2max >50 mL/kg/min), mild ventricular dilation, and normal diastolic function.